Hanging drop method is used for -
1. T. Trichomonas
2. Plasmodium
3. Toxoplasma
4. Cryptosporidium

Correct answer: 1. T. Trichomonas

Explanation: trichomonas vaginalis vaginal or urethral discharge is examined microscopically in a drop of saline for characteristic motile trophoziotes with jerky movements REF:TEXTBOOK OF MEDICAL PARASITOLOGY;BAVEJA;3RD EDITION;PAGE NO 34